The most common complication seen in hiatus hernia is
1. Esophagitis
2. Aspiration pneumonitis
3. Volvulus
4. Esophageal stricture

Correct answer: 1. Esophagitis

Explanation: Ans. is 'a' i.e. Esophagitis There are 4 types of hiatal herniaType I : Sliding hernia (most common type -- 70 - 80%)Type II : Paraesophageal or rolling herniaType III : MixedType IV : these hernias are distinguished by the presence of other abdominal viscera wihin the defect i.e. omentum, transverse colon.Type I or Sliding hiatal hernia- this is characterized by upward dislocation of the cardioesophageal junction into the posterior mediastinum.Type II or Rolling Paraesophageal hernia- the cardioesophageal junction is undisplaced the whole or part of stomach herniates into the thorax immediately adjacent and to the left of the undisplaced cardioesophageal junction.- since the normally located gastroesophageal junction functions normally in most of these hernias, reflux is uncommon